Which of the following is the strongest phase in amalgam reaction?
1. Gamma phase
2. Gamma-1 phase
3. Gamma-2 phase
4. Mercury phase

Correct answer: 1. Gamma phase

Explanation: The gamma phase is the strongest phase and for this reason it should occupy the maximum available space in the volume of the restoration.
Reference: Marzouk Operative dentistry, pg-106